Corneal sensations are decreased in all of the following conditions except:
1. Recurrent corneal erosion syndrome
2. Herpetic keratitis
3. Neuroparalytic keratitis
4. Leprosy

Correct answer: 1. Recurrent corneal erosion syndrome

Explanation: Ans. Recurrent corneal erosion syndrome